Removal of amino group from amino acid is called
1. Transamination
2. Deamination
3. Glucoronidation
4. Methylation

Correct answer: 2. Deamination

Explanation: The alpha-amino grp is removed from amino acid to form the corresponding keto acid and ammonia.in the body, glutamic acid is the most common amino acid to undergo oxidative deamination eg: glutamic acid____________>glutamine Ref: DM Vasudevan - Textbook of Biochemistry for Medical Students, 7th edition, page no: 30